Maintenance dose depends on ?
1. Clearance
2. Volume of distribution
3. Metabolism
4. Absorption

Correct answer: 1. Clearance

Explanation: Ans. is 'a' i.e., Clearance o Loading dose is governed by volume of distribution. o Maintenance dose is governed by clearance or t1/2.